The commonly used frequency range in obstetrical ultrasonography is -
1. 3.5-5 KHz '
2. 20-25 KHz
3. 3.5-5 MHz
4. 20-25 MHz

Correct answer: 3. 3.5-5 MHz